Which of the following causes foot inversion?
1. Soleus
2. Plantaris
3. Peroneus longus
4. Tibialis posterior

Correct answer: 4. Tibialis posterior

Explanation: Eversion: movement in which the lateral border of the foot is elevated so that the sole faces laterally.Inversion: movement in which the medial border of the foot is elevated so that the sole faces medially.In eversion and inversion, the entire part of the foot below the talus moves together.Inversion is accompanied by plantar flexion of the foot and adduction of the forefoot.Eversion is accompanied by the dorsiflexion of the foot and adduction of the forefoot.JOINTS TAKING PART:-Subtalar Talocalcaneonavicular Transverse talar AXIS:-These movements takes place around an oblique axis which runs forwards, upwards and medially, passing from the back of the calcaneum, through sinus tarsi, to emerge at the superomedial aspect of the neck of the talus.The obliquity of the axis party accounts for the adduction, abduction, plantar flexion and dorsiflexion which are associated with these movements.RANGE:-Inversion is more free than eversion The range of movements is increased in plantar flexion.MUSCLES PRODUCING MOVEMENTS:-Inversion: Tibialis anterior Tibialis posterior, FHL, FDLeversion: peroneus longus and brevis{Reference:BDC 6E}